In which of the following pathological processes caspases are involved in?
1. Apoptosis
2. Fatty change
3. Hydropic degeneration
4. Collagen hyalinosis

Correct answer: 1. Apoptosis

Explanation: Apoptosis can be initiated by external signals that have features in common with those used by ligands such as TNF- or by an internal pathway activated by DNA damage, improperly folded proteins, or withdrawal of cell survival factors. Regardless of the mode of initiation, the apoptotic program is carried out by a large family of cysteineproteases termed caspases. The caspases are highly specific cytoplasmic proteases that are inactive in normal cells but become activated by apoptotic signals. Ref: Blumenthal D.K., Garrison J.C. (2011). Chapter 3. Pharmacodynamics: Molecular Mechanisms of Drug Action. In L.L. Brunton, B.A. Chabner, B.C. Knollmann (Eds), Goodman & Gilman's The Pharmacological Basis of Therapeutics, 12e.